Protozoa associated with Megaesophagus, Megacolon, Romanas sign, chagoma:
1. Trypanosome
2. Amoeba
3. Giardia
4. Gnathostoma

Correct answer: 1. Trypanosome

Explanation: Ans. is 'a' i.e., Trypanosoma(Ref: Chatterjee, 12th/e, p. 52)* Megaesophagus and Megacolon occur as complications of Chronic Chagas disease.* T. cruzi causes Chagas disease (Romana sign, chagoma) also seen.* ECG changes like sinus tachycardia, increased PR interval, T wave changes and low QRS voltage, Myocarditis occurs.